The most common site for myocardial infarction is
1. Left atrium
2. Left ventricle
3. Right atrium
4. Right ventricle

Correct answer: 2. Left ventricle

Explanation: Ans. is b i.e., Left ventricle